Pain in region of penis in acute urethritis is typically experienced
1. Before micturition
2. After micturition
3. During micturition
4. Irrespective micturition

Correct answer: 3. During micturition

Explanation: Answer- C. During micturitionCauses of pain in the penis experienced during micturitionDisease of the urethraAcute inflammation, gonorrhoeal/non-specific urethritis (NSU)' chemical or otherThe passage or impaction of a calculusStricture ofthe urethraInjury to the urethraForeign body in the urethraDisease of the prostateAcute prostatitisProstatic abscessProstatic carcinomaDiseases of the bladderAcute rystitisBladder calculusPedunculated bladder carcinoma